Which of the following organism is responsible for 'malt worker's lung'?
1. Aspergillus clavatus
2. Mycobacterium avium complex
3. Pseudomonas
4. Penicillium glabrum

Correct answer: 1. Aspergillus clavatus

Explanation: Malt worker's lung is caused by Aspergillus clavatus or A. fumigatus. Source is moldy barley. Hot tub lung refers to a hypersensitivity reaction to Mycobacterium avium complex, which is present in hot tubs or whirlpools and is differentiated from actual infection. Pseudomonas spp is responsible formetalworking fluid lung. Source is contaminated metalworking fluid. Penicillium glabrum and Chrysonilia sitophila are the causative organisms for Suberosis, being Cork dust is the source. Ref: Gerke A.K., Hunninghake G.W. (2012). Chapter 255. Hypersensitivity Pneumonitis and Pulmonary Infiltrates with Eosinophilia. In D.L. Longo, A.S. Fauci, D.L. Kasper, S.L. Hauser, J.L. Jameson, J. Loscalzo (Eds), Harrison's Principles of Internal Medicine, 18e.